Which of the following is an immature defense mechanism?
1. Anticipation
2. Humor
3. Suppression
4. Regression

Correct answer: 4. Regression

Explanation: Regression is where a person returns back to earlier phase of development to avoid the tensions & conflicts of present phase of development.
Ex: A businessman who is stressed because of financial problems goes to a park & plays with children.